Treatment of choice for adenomyosis is
1. Estrogens only
2. OCP
3. Laser endoscopy
4. Hysterectomy

Correct answer: 4. Hysterectomy

Explanation: Treatment of adenomyosis: Diagnostic hysteroscopy combined with curretage is the initial management Total hysterectomy is the treatment in elderly Ref: Shaw Gynecology 17 e pg 186.